Rim sign in IVP is seen in –
1. Polycystic kidney
2. Hydronephrosis
3. Chronic pyelonephritis
4. Hypemephroma

Correct answer: 2. Hydronephrosis

Explanation: Two most important causes of rim sign on nephrogram are -
(i) Hydronephrosis (chronic obstruction), and
(ii) Renal artery occulusion.